During acclimatization to high altitude all of the following take place, EXCEPT:
1. Increase in erythropoetin
2. Increase in minute ventilation
3. Increase in the sensitivity of central chemoreceptors
4. Shift of oxygen hemoglobin dissociation curve to the left

Correct answer: 4. Shift of oxygen hemoglobin dissociation curve to the left

Explanation: Acclimatization refers to changes in the body tissues in response to long term exposure to hypoxia, such as living at high altitude for a long time. Hypoxia raises the 2, 3 BPG level in the blood. 2,3 BPG binds to beta chain of hemoglobin molecule, leading to stabilization of the deoxy form of hemoglobin, which in turn or the unloading of oxygen from hemoglobin. This ultimately result in shift of oxygen hemoglobin dissociation curve to the right. Ref: Variations in Human Physiology By D. E. Evan, Page 92 ; Physiology: Prep Manual For Undergraduates 3rd Edition, By Josh Page 245-246.